Which of the following does not indicate an infant "good attachment" to mothers breast during breast feeding:
1. Only upper areola visible
2. Baby's chin touches mother's breast
3. Lower lip inverted
4. Baby's mouth is wide open

Correct answer: 3. Lower lip inverted

Explanation: Ans. C: Lower lip inverted Sigrs of good attachment are 1) baby's mouth is wide open, 2) most of the nipple and areola in the mouth, only upper areoli. visible, not the lower one, 3) baby's chin touches the breast and 4) baby's lower lip is everted